Which of these can be safely stopped before an abdominal surgery
1. ACE inhibitors
2. Beta blockers
3. Statins
4. Steroids

Correct answer: 1. ACE inhibitors

Explanation: Refer CMDT6 2014/45 All antihypertensives should be continued in preoperative period except ACE inhibitors ,angiotensin receptor blockers and diuretics ACE inhibitors and ARBs should be stopped 24 hrs before surgery to prevent intraoperative hypotension Diuretics should be stopped once the patient is kept NPO to prevent intraoperative volume depletion and electrolyte abnormalities